Investigation of choice for diagnosing intra abdominal bleeding in an unstable patient:
1. CT scan omit
2. MRI scan
3. USG
4. Diagnostic peritoneal lavage

Correct answer: 3. USG

Explanation: Ans. C: USG